Embryonic period of development is -
1. Upto 16 weeks
2. Upto 12 weeks
3. Upto 10 weeks
4. Upto 8 weeks

Correct answer: 4. Upto 8 weeks

Explanation: Ans. is 'd' i.e., Upto 8 weeks o The embryonic period of development extends from the 4th to 8th week of gestation and is also called the period of organogenesis.3 phases of development1. Pre-embryo phase (germinal phase) - day 0 to week 32. Embryo phase - weeks 4-83. Foetal phase - weeks 8-38o Pre-embryo phase divided into,1. Ovulation2 Fertilization and implantationStage of bilaminar germ disc (2nd week)Stage of trilaminar germ disc (3rd week)